Down Syndrome, All are seen except
1. t (14 ; 21)
2. Trisomy 21
3. t (11:14)
4. t (15:21)

Correct answer: 3. t (11:14)

Explanation: Majority of translocations in Down syndrome are fusions at the centromere between chromosomes 13,14,15,21 and 22.These are known as Robertson I an translocation. t(11:14 ) is not seen in down syndrome. Reference : Nelson TB of pediatrics 19th edition pg 402.